In those mammals which are seasonal breeder, the females are receptive only once in a year ; the cycle is termed as :
1. Follicular
2. Estrous
3. Menstrual
4. Luteal

Correct answer: 2. Estrous

Explanation: Ans. is b i.e. Estrous Estrous : It is cyclical period of sexual activity in non human female mammals, marked by congestion of and secretion by the uterine mucosa, proliferation of vaginal epithelium, swelling of the vulva, ovulation, and acceptance of the male by the female. During estrus, the animal is said to be "in heat". Also Know 7 Estrus cycle - The sequence from the beginning of one estrus period to the beginning of the next. It includes : * Proestrus Estrus Metestrus followed by Diestrus (period of quiescence).